5' - Nucleotidase activity is increased in -
1. Bone diseases
2. Prostate cancer
3. Chronic renal failure
4. Cholestatic disorders

Correct answer: 4. Cholestatic disorders

Explanation: 5' nucleotidase rise parallels ALP but is more specific for diseases of hepatic origin (Harsh mohan page 594)